The site of action of vasopressin is
1. Ascending limb of loop of Henle
2. Descending limb of loop of Henle
3. Distal tubule
4. Proximal tubule

Correct answer: 3. Distal tubule

Explanation: Vasopressin (ADH) Increasing the water permeability of distal tubule and collecting duct cells in the kidney, thus allowing water reabsorption and excretion of more concentrated urine. Ref: Ganong's Review of Medical Physiology; 24th edition; page no: 698